Hyper alodosteronism causes All except
1. Hypernatremia
2. Hypokalamia
3. Metabolic acidosis
4. Hypertension

Correct answer: 3. Metabolic acidosis

Explanation: Refer CMDT 2010/1056 Alodosterone causes retention of Na+ and water band removal of K+ and H+ Therefore excess of alodosterone may result in Hypernatremia, hypertension and hypokalamia and metabolic alkalosis